All of the following drugs are used for the treatment of congestive heart failure except:
1. Nitroglycerine
2. Spironolactone
3. Nesiritide
4. Trimetazidine

Correct answer: 4. Trimetazidine

Explanation: Trimetazidine is an anti anginal drug. It acts by the nonhaemodynamic mechanism. There is no effect on the determinants of myocardial oxygen consumption, such as heart rate and blood pressure. Through inhibition of fatty acid metabolism, trimetazidine is considered a fatty acid oxidation inhibitor. (REF. Essentials of medical pharmacology KD TRIPATHI 8thEdition)